Vaginal artery arising from anterior division of hypogastric artery corresponds to
1. Inferior vesical artery in male
2. Superior vesical artery in male
3. Deep dorsal artery of penis
4. Dorsal artery of penis.

Correct answer: 1. Inferior vesical artery in male

Explanation: Vaginal artery usually arises from uterine artery. In some cases, it arises from anterior division of hypogastric artery where it corresponds to inferior vesical artery in male.